Cysticercosis is caused by -
1. Taenia Solium
2. Taenia Saginata
3. Hymenolepis nana
4. Echinococcus Granulosus

Correct answer: 1. Taenia Solium

Explanation: Man sometimes get infection in the same way as the pig .These cysticercus cellulosae may develop in any organ but are usually present in the subcutaneous tissues and muscles.They may be also found in the brain leading to epileptic attacks .These cysts have a tendency to become calcified and obsolete over the period of 5 to 6 years .The condition is called cysticercosis.Neurocysticercosis involving the nervous system is the most serious form of cysticercosis (refer pgno:102 baveja 3 rd edition,panikers textbook of Medical parasitology 8th edition page:126)